Albumin serves as a transporter of all the following molecules, Except
1. Bilirubin
2. Free fatty acids
3. Thyroxine
4. Iron

Correct answer: 4. Iron

Explanation: One of the major roles of albumin is to bind to and thereby facilitate the transport of numerous ligands. These include free fatty acids (FFA), calcium, certain steroid hormones, bilirubin, copper, and some of the plasma tryptophan. A variety of drugs, including sulfonamides, penicillin G, dicumarol, and aspirin, are bound to albuminHarper 30th edition pg: 671